Placing cast under tap water is to be avoided as
1. a) H2O interferes with hygroscopic expansion
2. b) H2O Inhibits polymerization of dental resin
3. c) H2O interferes with crystallization of dihydrate
4. d) Gypsum is slightly soluble in water and the surface of the cast will be eroded

Correct answer: 4. d) Gypsum is slightly soluble in water and the surface of the cast will be eroded